All of the following statements are true about the term 'disease control' except
1. Interruption of the transmission of disease
2. Reducing the incidence of disease
3. Agent is permitted to persist at low levels
4. Focus is on primary and/ or secondary prevention

Correct answer: 1. Interruption of the transmission of disease

Explanation: Interruption of transmission of disease comes under Elimination